A female has hypopigmented lesion on centre of forehead. Drug responsible is ?
1. Hydroquinone
2. Ether metabolite of hydroquinone
3. Para tertiary butyl catechol
4. Para tertiary butylphenol

Correct answer: 4. Para tertiary butylphenol

Explanation: Hypo or amelanotic lesions simulating vitiligo can be caused by various chemicals at the site of contact. eg: paratertiary butylphenol paraphenylenediamine-hairdye monobenzylether of hydroquinone derivative of hydroquinone present in skin lightening creams corticosteroids rubber-gloves,aprons,tape,slippers monobenzyl ether of hydroquinone-leather IADVL textbook of dermatology , pigmentary disorders 745